Tardy ulnar nerve palsy occur as a delayed sequele of
1. Supracondylar fracture of humerus
2. Posterior dislocation of elbow
3. Fracture of lateral condyle of humerus in children
4. Fracture of Olecranon

Correct answer: 3. Fracture of lateral condyle of humerus in children

Explanation: C i.e. Fracture lateral condyle humerus